The following drugs cause methemoglobinemia:
1. Aniline
2. Dapsone
3. Nitrates
4. All of the above

Correct answer: 4. All of the above

Explanation: Ans. (D) All of the above(Ref: KDT 8th/e p587,832, Harrison 17th/e p35.4)Drugs causing Methemoglobinemia areAniline derivativesDapsonePrilocaineNitratesNitritesNitrogen oxidesNitro and nitrosohydrocarbonsPhenazopyridinePrimaquineSulfonamides